All of the following clinical features are associated with enteroviruses except:
1. Mycocarditis
2. Pleurodynia
3. Herpangina
4. Hemorrhagic fever

Correct answer: 4. Hemorrhagic fever

Explanation: Ans. (d) Hemorrhagic fever